One man had 30 decibel deafness in left ear with weber test showing more sound in left ear and BC (Bone conduction) more of left side and normal hearing in right ear, his test can be summarized as -
1. Weber 's test left lateralized, Rinne-right positive, BC > AC on left side
2. Weber's right lateralized, Rinne-left positive, AC > BC on right side
3. Weber's-left lateralized, Rinne-false positive on right side, BC > AC on left side.
4. Weber's left lateralized, Rinne equivocal, BC >AC on right side

Correct answer: 1. Weber 's test left lateralized, Rinne-right positive, BC > AC on left side